Long acting barbiturate is ?
1. Thiopentone
2. Secobarbitone
3. Phenobarbitone
4. Pentobarbitone

Correct answer: 3. Phenobarbitone

Explanation: Ans. is 'c' i.e., Phenobarbitone Long acting barbiturates -4 Phenobarbitone, Mephobarbitone. Short acting barbiturates-4 Butobarbitone, secobarbitone, Pentobarbitone. Ultrashort acting -4 Thiopentone, Methohexitone, Hexobarbitone.